Drug of choice for syphilis:
1. Benzathine Penicillin
2. Penicillin
3. Tetracycline
4. Ciprofloxacin

Correct answer: 1. Benzathine Penicillin

Explanation: Ans. A. Benzathine penicillinBenzathine penicillin 2.4 million units is drug of choice for syphilis. Alternatively, procaine penicillin can also be given. Ciprofloxacin can be given in UTI, respiratory tract infections, acute diarrhea. Cefixime is also indicated in UTI, respiratory infections. Tetracyclines are the drug of choice for rickettsial and chlamydial infection.